Mac Conkey medium is an example of:
1. Enrichment media
2. Differential media
3. Enriched media
4. Transport media

Correct answer: 2. Differential media

Explanation: Ans. (b) Differential media Ref: Microbiology by Ananthanarayan and Paniker 8th ed. / 40 DIFFERENTIAL MEDIA (OR INDICATOR MEDIA) * It distinguishes one microorganism type from another growing on the same media. * This type of media is used for the detection of microorganisms and by molecular biologists to detect recombinant strains of bacteria. * Examples of differential media include: # Blood agar # Eosin methylene blue (EMB) # MacConkey (MCK) # Mannitol salt agar (MSA) Also, Know *Mac Conkey agar is a culture medium designed to grow Gram-negative bacteria and differentiate them for lactose fermentation. * It consists of Peptone, Lactose, Agar neutral red and taurocholate shows up lactose fermenters as PINK COLONIES * Nonlactose Fermenters are colorless. It is a selective and differential medium - both.